Drug used for chloroquine-resistant vivax malaria are all of the following except:
1. Quinine
2. Doxycycline
3. Primaquine
4. Fluoroquinolones

Correct answer: 4. Fluoroquinolones

Explanation: Ans. D: Fluoroquinolones In occasional cases of chloroquine resistance: Quinine 600 mg (10 mg/kg) 8 hourly for 7 days + Doxycycline 100 mg daily for 7 days + Primaquine 15 mg (0.25 mg/ kg) daily for 14 days.